Which of the following is a differentiating feature of anopheles from aedes mosquito -
1. Pupa has broad siphon
2. Eggs are oval shaped
3. Wings unspotted
4. Popi are short

Correct answer: 1. Pupa has broad siphon

Explanation: Ans. is 'a' i.e., Pupa has broad siphon Differentiation between anopheiini and culiciniTribe GenusAnopheiini AnophelesCulicini Culex, Aedes, ManosniaEggs1. Laid singly2. Eggs are boat-shaped and provided with lateral floats1. Laid in duster or rafts, each raft containing 100 - 250 eggs (except-Aedes)2. Eggs are oval-shaped, and not provided with lateral floatsLarvae1. Rest parallel to water surface2. No siphon tube3. Palmate hairs present on abdominal segments1. Suspended with head downwards at an angle to water surface2. Siphon tube present3. No palmate hairsPupaSiphon tube is broad and shortSiphon tube is long and narrowAdult1. When at rest, inclined at an angle to surface2. Wings spotted3. Palpi long in both sexes1. When at rest, the body exhibits a hunch back2. Wings unspotted3. Palpi short in femaleNote : Anopheles and Aedes lay eggs singly, culex and Mansonia lay eggs in clusters